Regarding listeriosis in pregnancy False statement is:
1. Mode of transmission of infection is sexual
2. Is associated with meningoencephalitis of the newborn
3. May present with skin rash at birth
4. In labour liquor is meconium stained

Correct answer: 1. Mode of transmission of infection is sexual

Explanation: LISTERIOSIS: Listeria monocytogenes is an intracellular gram positibe bacillus. It is readily found in soil and vegetation. Mode of transmission of infection :Food borne infection caused by eating food like raw vegetables, coleslaw, apple cider melons milk fresh mexican style cheese smoked fish processed foods. Obstetric complications include Late miscarriage Preterm labour Delivery and stillbirth LM infections can cause meningitis, enchepalitis,bacteremia pneumonia,fever and gastroenteritis. Neonatal death due to septicemia is also hight(10%).Overall perinatal mortality 50% Ref. Williams Obs 23 /e p1224, 1225. DC.Duttas textbook of OBG,9th edition,page 278.